A patch test is what type of hypersensitivity?
1. Type 4
2. Type 1
3. Type 2
4. Type 3

Correct answer: 1. Type 4

Explanation: HYPERSENSITIVITY REACTIONS